Irresistible sexual desire in males:
1. Nymphomania
2. Satyriasis
3. Frigidity
4. Quod

Correct answer: 2. Satyriasis

Explanation: Ans. b. SatyriasisSatyriasis: Excessive sexual desire by a maleNymphomania: Excessive sexual desire by a femaleFrigidity: Inability to initiate sexual arousal in femalesQuod: A male may be impotent with one particular female but not with another.